Which of the following investigation is contraindicated in metallic foreign body
1. CT Scan
2. ERG
3. VER
4. MRI

Correct answer: 4. MRI

Explanation: MRI is contraindicated in Metallic intra ocular foreign body due to its magnetic feild . The strong static magnetic field (B0) of MRI scanners can attract and accelerate ferromagnetic objects toward the center of the machine and turn them into dangerous projectiles. This magnetic field can also displace implants or affect the function of devices (pacemakers and pumps),Metallic Implants